Discharge from baroreceptor cause inhibition of
1. Caudal ventrolateral medulla
2. Rostral ventrolateral medulla
3. Nucleus of tractus solitarius
4. Nucleus ambiguous

Correct answer: 2. Rostral ventrolateral medulla

Explanation: Ans. (b) Rostral ventrolateral medulla (RVLM)Ref: Ganong, 25th ed/p.590Baroreflex mechanismIn simple terms, "increased baroreceptor discharge inhibits the tonic discharge of sympathetic nerves and excites the vagal innervation of the heart"